32 years old female presents with drooping of eyelids and painless weakness of the muscles especially in the later part of the day. Which of the following mediastinal masses is associated with this pathology?
1. Thymoma
2. Leukemia
3. Non hodgkins lymphoma
4. Teratoma

Correct answer: 1. Thymoma

Explanation: Ans. is 'a' i.e.,Thymoma * 32 years old female presents with drooping of eyelids and painless weakness of the muscles especially in the later part of the day is suggestive of - Myasthenia gravisMyasthenia Gravis:* Myasthenia gravis (MG) is a long-term neuromuscular disease that leads to varying degrees of skeletal muscle weakness.* The most commonly affected muscles are those of the eyes, face, and swallowing. It can result in double vision, drooping eyelids, trouble talking, and trouble walking. Onset can be sudden.* The initial, main symptom in MG is painless weakness of specific muscles, not fatigue.* The muscle weakness becomes progressively worse during periods of physical activity, and improves after periods of rest. Typically, the weakness and fatigue are worse towards the end of the day.* MG generally starts with ocular (eye) weakness; it might then progress to a more severe generalized form, characterized by weakness in the extremities or while performing basic life functions* Those affected often have a large thymus gland or develop a thymoma.